About herd immunity, all are true except
1. Depends on clinical and subclinical cases
2. Influenced by immunization
3. Depends on the presence of alternative host
4. Herd immunity is constant

Correct answer: 4. Herd immunity is constant

Explanation: Elements which contribute to herd immunity are occurrence of clinical and subclinical infection in the herd immunization of the herd herd structure Ref: 25th edition, Park's Textbook of Preventive and Social Medicine, Page no. 110